Regarding golgi tendon organ true is?
1. Senses dynamic length of muscle
2. Involved in reciprocal innervations
3. a-motor neuron stimulation
4. Sense muscle tension

Correct answer: 4. Sense muscle tension